A person with recurrent oral ulcers with yellow base , erythematous surrounding & nodules in extensor aspect of legs. Diagnosis is
1. Behcet's syndrome
2. Pemphigus
3. Herpes genitalis
4. Fixed drug eruption

Correct answer: 1. Behcet's syndrome

Explanation: Behcet's syndrome is rare immune-mediated systemic vasculitis that presents with mucous membrane ulceration and ocular involvement. Triple- symptom complex of recurrent oral aphthous ulcers, genital ulcers and uveitis. It can also involve visceral organs such as GI tract, pulmonary, musculoskeletal and neurological systems. Painful oral mucocutaneous ulcerations in the form of aphthous ulcers or non-scarring oral lesions. Painful genital ulcerations usually develop around the anus, vulva or scrotum. Patients may present with Erythema nodosum Cutaneous pustular vasculitis and lesions similar to pyoderma gangrenosum.